Class I judicial magistrate has power to give punishment of -
1. 5 yr, Rs 3000
2. 3 yr, Rs.10000
3. 5 yr Rs 5000
4. 3 yr, Rs 3000

Correct answer: 2. 3 yr, Rs.10000

Explanation: CLASS OF MAGISTRATE IMPRISONMENT FINE Chief Judicial Magistrate up to 7 years unlimited First Class Magistrate up to 3 years 10000 rupees Second Class Magistrate up to 1 year 5000 rupees Ref: K. s. Narayan Reddys Synopsis of Forensic Medicine and Toxicology 29 th edition, Page 4.